Tricyclic antidepressants can alter the oral absorption of many drugs by
1. Complexing with other drugs in the intestinal lumen
2. Altering gut motility
3. Altering gut flora
4. Damaging gut mucosa

Correct answer: 2. Altering gut motility

Explanation: Alter gut motility Ref: KDT 6/6 pg 14,411